In a case of chest pain with pericarditis and pericardial effussion, pain is referred by?
1. Phrenic nerve
2. Superficial cardiac plexus
3. Deep cardiac plexus
4. Vagus nerve

Correct answer: 1. Phrenic nerve

Explanation: Phrenic nerveThe pericardium is composed of two layers.The tough external layer, the fibrous pericardium. The parietal layer of serous pericardium is attached to its internal surface. The visceral layer of serous pericardium is fused to the heart.The fibrous and parietal pericardia are supplied by the phrenic nerve (C3-05). They are sensitive to pain.The visceral pericardium or epicardium is supplied by autonomic nerves, not sensitive to pain.